CT dose index, True is:
1. By reducing KVP by 50% radiation dose is reduced to half
2. In pediatric patients dose should be reduced
3. CT dose index is not useful for control exposure in multi-slice CT
4. KV has no control over CT dose index

Correct answer: 2. In pediatric patients dose should be reduced

Explanation: B. i.e. In pediatrics patient dose should be reduced Because ionizing radiation causes more biological effect in children, it is important to adapt CT technical parameters to minimize radiation doseQ. CT Dose index (CTDI) - Is most common parmeter to estimate and minimize patient dose in CTQ. - Integrates the dose delivered both within & beyond the scan volume. Factors that influence radiation dose from CT: KVp (Kilovoltage) - has nonlinear relationship with radiation doseQ - An t in 120-130 KVp can double radiation doseQ. Tube current (mAs) - has linear relationship with radiation dose - I mAs by 50% : ies radiation twice Pitch (Slice - is inversely proportional to radiation thickness/Table speed) dose.